Alkylating agents are :  a) Vincristine b) Actinomycin–D  c) Chlorambucil d) 5–Fluorouracil e) Cyclophosphamide
1. ab
2. ad
3. ae
4. ce

Correct answer: 4. ce